Ameloblast develop from -
1. Mesoderm
2. Endoderm
3. Neural crest
4. Ectoderm

Correct answer: 4. Ectoderm

Explanation: Ans. is 'd' i.e., Ectoderm * Various parts of teeth are derived asA) Dental papillae (mesoderm of neural crest origin) give rise to :i) Odontoblasts which form dentine.ii) Dental pulp.B) Enamel organ (ecdoderm) give rise to ameloblasts which form enamel and dental cuticle.C) Mesenchyme around tooth give rise to cementum and periodontal ligaments.